McBurneys point is:
1. Medial 1/3rd & Latera 2/3rd of line joining right anterosuperior iliac spine & umbilicus
2. Medial 1/3rd & Latera 2/3rd of line joining left anterosuperior iliac spine & umbilicus
3. Medial 2/3rd & lateral 1/3rd of line joining right anterosuperior iliac spine & umbilicus
4. Medial 2/3rd & lateral 1/3rd of line joining left anterosuperior iliac spine & umbilicus

Correct answer: 3. Medial 2/3rd & lateral 1/3rd of line joining right anterosuperior iliac spine & umbilicus

Explanation: Ans. C i.e. Medial 2/3rd & lateral 1/3rd of line joining right anterosuperior iliac spine & umbilicus